Incidence of disease among exposed divided that of non exposed is equal to -
1. Relative risk
2. Attributable risk
3. Odd ratio
4. None of the above

Correct answer: 1. Relative risk

Explanation: Ans. is 'a' i.e., Relative risk RR =Incidence of disease among exposed----------------------------------Incidence of disease among nonexposed AR =Incidence of disease in exposed - Incidence of disease in unexposed--------------------------------------------------------Incidence of disease in exposedx 100